Fraying and cupping of metaphyses of long bones in a child does not occur in:
1. Rickets
2. Lead poisoning
3. Metaphyseal dysplasia
4. Hypophosphatasia

Correct answer: 2. Lead poisoning

Explanation: B i.e. Lead poisoning Remember : Lead poisoningQ (Bismuth, Arsenic, P, mercury fluride, radium also), Radiation & Hypervitaminosis D leads to solitary dense metaphyseal band not cupping & fraying. Causes of Cupping & Fraying of metaphysis Metaphyseal Cupping Metaphyseal Fraying RicketsQ (with widening & fraying of growth plate) 1. RicketsQ HypophosphatemiaQ 2. HypophosphatemiaQ Dysplasias of bone - (eg achondroplasia, pseudochondroplasia, metatropic dwarfism, diastrophic dwarfism, chondrodysplasias) 3. 4. Copper deficiency Chronic stress in the wrist of young gymnasts (with asymmetrical widening of distal radial Scurvy growth plate & metaphyseal sclerosis) Trauma Normal (distal ulna of proximal fibula)